Most common CNS tumor to cause precocious puberty is
1. Astrocytoma
2. Neuro fibroma
3. Ependymoma
4. Hamartoma

Correct answer: 4. Hamartoma

Explanation: Hamartoma is most common CNS tumor to cause precocious puberty.